Performance of components of PQLI is counted between-
1. -1 to +1
2. 0 to 1
3. 0 to 100
4. None

Correct answer: 3. 0 to 100

Explanation: For each component, the performance of individual countries is placed on a scale of 0 to 100, where 0 represents an absolutely defined worst performance and 100 represent an absolutely defined best performance.
The composite index is calculated by averaging the three indicators, giving equal weight to each of them.
The resulting PQLI thus also is scaled 0 to 100.